Paranasal sinus present at birth among the following?
1. Frontal and maxillary
2. Ethmoid and maxillary
3. Frontal and ethmoid
4. Sphenoid and ethmoid

Correct answer: 2. Ethmoid and maxillary

Explanation: Maxillary sinus - Develop at birth; completely develop at 9 yearsEthmoidal sinus - Development at birth; completely develop at late pubertyFrontal sinus - Develop at 2 years; completely develop at late adolescenceSphenoid sinus - Develop at 3-5 years; completely develop at 12-15 yearsRef: PL Dhingra, Diseases of Ear, Nose & Throat, 7th edition, pg no. 211